Which of these scoring systems is helpful in assessing severity of wound infection and is used for research and surveillance?
1. Southampton grading scale
2. ASA classification
3. Glasgow score
4. APGAR

Correct answer: 1. Southampton grading scale

Explanation: - Commonly using grading system: Southampton grading scale Asepsis score Southampton Wound Grading System 0: Normal healing Ia: Some bruising Ib: Considerable brusing Ic: Mild erythema I: Normal healing with mild bruising or erythema IIa: At one point IIb: Around sutures IIc: Along wound IId: Around wound II: Erythema plus other signs of inflammation IIIa: At one point only (<2cm) IIIb: Along wound (> 2 cm) IIIc: Large volume IIId: prolonged (>3 days) IV: Pus IVa: At one point only (<2 cm) IVb: Along wound (>2cm)